The acid fast staining characteristic of Mycobacteria appears to be due to which of the following cell wall constituent
1. Mycolic acid
2. Lipopolysaccharide
3. Lipid A
4. N-acetyle muramic acid

Correct answer: 1. Mycolic acid

Explanation: (A) Mycolic acid # Acid fastness is attributed to the organisms' high content of mycolic acids, long chain cross-linked fatty acids and other cell wall lipids.